Hallucinations experienced outside the sensory field limit are called.
1. Extracampine Hallucination
2. Kinesthetic Hallucination
3. Reflex Hallucination
4. Functional Hallucination

Correct answer: 1. Extracampine Hallucination

Explanation: Ans. A. Extracampine hallucinationExtracampine hallucinations: Patient has hallucination that is outside the limits of sensory field.For eg1. Patient sees somebody standing behind them when they are looking straight ahead2. Hear voices talking in Russia when they are in New Delhi.